A patient with hypersplenism underwent splenectomy. The most probable opportunistic infection in this patient after the procedure is:
1. E. coli
2. Pneumococci
3. Meningococci
4. Staphylococci

Correct answer: 2. Pneumococci

Explanation: The most serious consequence of splenectomy is increased susceptibility to bacterial infections, particularly those with capsules such as Streptococcus pneumoniae, Haemophilus influenzae, and some gram-negative enteric organisms. Patients under age 20 years are particularly susceptible to overwhelming sepsis with S. pneumoniae. The case-fatality rate for pneumococcal sepsis in splenectomized patients is 50-80%. Ref: Henry P.H., Longo D.L. (2012). Chapter 59. Enlargement of Lymph Nodes and Spleen. In D.L. Longo, A.S. Fauci, D.L. Kasper, S.L. Hauser, J.L. Jameson, J. Loscalzo (Eds), Harrison's Principles of Internal Medicine, 18e.